Which is a long acting insulin-
1. Lispro
2. Aspart
3. Glargine
4. Glulicine

Correct answer: 3. Glargine

Explanation: Ans. is 'c' i.e., Glargine 1. Rapid acting Insulin2.Short acting3. Intermediate acting4. Long acting- Insulin lispro, Insulin asparf, Insulin glulisine.- Regular (soluble) insulin, semilente insulin.- Insulin zinc suspension (Lente), Neutral protamine hagedorn (isophane insulin).- Protamin zinc insulin, Insulin glargine, Insulin determir